Symphysiotomy is indicated in :
1. Contraction of brim
2. Contraction of cavity
3. Contraction of outlet
4. All of these

Correct answer: 3. Contraction of outlet

Explanation: Contraction of outlet